The maximum period of imprisonment a metropolitan magistrate can give is
1. 1 year
2. 3 year
3. 5 year
4. 7 year

Correct answer: 2. 3 year

Explanation: Power of magistrates Magistrate period of imprisonment amount of fine Chief Judicial Magistrate/ Chief metropolitan Magistrate upto7 yerars unlimited Judicial 1st class magistrate/ Metropolitan magistrate upto 3 years Rs 10,000/- Judicial 2nd class magistrate upto 1 year Rs 5000/- Ref: FORENSIC MEDICINE AND TOXICOLOGY Dr PC IGNATIUS THIRD EDITION PAGE 9